Vitamin K is a cofactor in
1. Carboxylation
2. Hydroxylation
3. Deaminatiom
4. Hydrolysis

Correct answer: 1. Carboxylation

Explanation: Refer Katzung 10/e p 549 Vitamin K is involved in activition if various clotting factors as well as anticlotting clotting proteins It carries out the final step in activation of these favors I. E, gamma carboxylation of glutamate residues in these factors